Most common site of ectopic testis is
1. Superficial inguinal ring
2. In the perineuim
3. Root of the penis
4. Femoral triangle

Correct answer: 1. Superficial inguinal ring

Explanation: (Superficial inguinal ring) (1405-LB) (1379-B &L 25th)Ectopic testis descending order (i) Superficial inguinal ring (ii) perineum (iii) Root of the penis (iv) femoral triangle* Continued descent of the testis may progress after birth, but descent comes to a halt before 2 years of age. The degenerative changes begin to occur at 2 years of age.* Operation is indicated after 12-18 months since degenerative changes begin to take place* The incidence of testicular cancer in a cryptoorchid testis (30 times higher than the normal population)* The prognosis for fertility following orchidopexy in unilateral maldescent is 80%, whereas fertility after bilateral orchidopexy is about 50%